New born infants are
1. Obligatory oral breathers
2. Obligatory nasal breathers
3. Predominantly oral breathers
4. Nasal and oral breathers

Correct answer: 2. Obligatory nasal breathers